Which of the following tests measure stereoacuity
1. Ishiara
2. Pielle robinson
3. Randot stereoacuity test
4. Snellen's chart

Correct answer: 3. Randot stereoacuity test

Explanation: Randot stereoacuity test is used to measure stereoacuity Randot Stereoacuity Test STEREOPSIS Stereoscopic acuity, alsostereoacuity, is the smallest detectable depth difference that can be seen in binocular vision. Depth perception Due to Horizontal disparate retinal elements Binocularity is must Test for Binocularity Bagolini striated classes Red filter test Synaptophore Worth 4 dot test Tests for Stereopsis Lang's pencil test Titmus fly test TNO test Randot test Frisby Davis